While calculating the incubation period for measles in a group of 25 children, deviation is 2 and the mean incubation period is 8 days. Calculate the standard error -
1. 0.4
2. 1
3. 0.5
4. 2

Correct answer: 1. 0.4

Explanation: Ans. is 'a' i.e., 0.4